Which of the following divisions stand for compromised bone
1. Division A
2. Division B
3. Division C
4. Division D

Correct answer: 3. Division C

Explanation: The Division C available bone is deficient in one or more dimensions (height, length, height, angulation, or crown height-bone height ratio).
Therefore the width may be less than 2.5 mm, the crown height more than 15 mm, and the bone angulation greater than 30 degrees, regardless of the position of the implant body into the edentulous site.